The first step in planning cycle for health is -
1. Fixing priorities
2. Establishment of objectives and goals
3. Analysis of the health situation
4. Assessment of resources

Correct answer: 3. Analysis of the health situation

Explanation: - the first step in planning cycle is analysis of health situation. - it involves the collection , assessment and interpretation of information in such a way as to provide a clear picture of the health education. Reference : Park's textbook of preventive and social medicine, 23rd edition, pg no:870